Abrus precatorius poisoning resembles which poison?
1. Sea snake
2. Cobra
3. Viper
4. Krait

Correct answer: 3. Viper

Explanation: Ans. is 'c' i.e., Viper Abrus precatorius (Rani) Abrus seeds are odourless, tasteless, oval (egg shaped), bright red coloured with a black spot at one pole. They contain abrin a toxalbumin as its active principle, which is similar to viper snake venom. Raw or cooked seeds, when swallowed are non-poisonous. But if extract is injected into wound or under skin, poisonous symptoms occur which resemble viper bite. This method is used to poison cattels by means of needle, known as sin needle.